Malignant pustule occurs in ?
1. Melanoma
2. Gas gangrene
3. Ovarian tumour
4. Anthrax

Correct answer: 4. Anthrax

Explanation: Ans. is 'd' i.e., Anthrax